X-ray features of hypoparathyroidism are the following except -
1. Osteosclerosis
2. Calvarial thickening
3. Subperiosteal resorption
4. Subcutaneous calcification

Correct answer: 3. Subperiosteal resorption

Explanation: Subperiosteal resorption is the characteristic feature of hyperparathyroidism. Radiological features of Hypoparathyroidism : Osteosclerosis Calvarial thickening Subcutaneous calcifications Thickened lamina dura